Ozaena is also known as
1. Hypertrophic rhinitis
2. Vasomotor rhinitis
3. Allergic rhinitis
4. Atrophic rhinitis

Correct answer: 4. Atrophic rhinitis

Explanation: Ozaena is also known as atrophic rhinitis. It is a chronic inflammation of nose characterized by atrophy of nasal mucosa and turbinate bones. Nasal cavity will become roomy and full of foul-smelling crusts hence associated with merciful anosmia Ref : Dhingra 7e pg 172.